In case of Myelofibrosis what is most likely to be seen on the peripheral blood smear?
1. Schistocytosis
2. Sickle cells
3. Spherocytes
4. Dacrocytes

Correct answer: 4. Dacrocytes

Explanation: Dacrocytes(D),more commonly known as tear-drop cells, are strongly indicative of myelofibrosis. Sickle cells (B) occur due to homozygous haemoglobin S which causes cell sickling on polymerization. Schistocytes (A), more commonly known as fragmented red cells, can be seen in a number of conditions such as haemolytic anaemia
or disseminated intravascular coagulation. Spherocytes (C) are commonly seen in haemolytic anaemia or in
congenital disease, such as hereditary spherocytosis.